Drug used in acute congestive glaucoma are all except –
1. Atropine
2. Pilocarpine
3. Acetozolamide
4. Mannitol

Correct answer: 1. Atropine

Explanation: Drugs used to treat acute congestive glaucoma

Systemic :- Acetazolamide (carbonic acid inhibitors), hyperosmotic agents (mannito
Topical :- Pilocarpine, Timolol (β-blocker)
Symptomatic :- Analgesic, antiinflammatory, topical corticosteroids.


Atropine is contraindicated, as are all mydriatics.